A child is below the third percentile for height. His growth velocity is normal, but chronologic age is more than skeletal age. The most likely diagnosis is -
1. Constitutional delay in growth
2. Genetic short stature
3. Primordial dwarfism
4. Hypopituitarism

Correct answer: 1. Constitutional delay in growth

Explanation: Ans. is 'a' i.e., Constitutional delay in growth o The child in this question has : Height below 3rd percentile, i.e., short stature. Normal growth velocity, i.e., normal variant of short stature. Skeletal age is less than chronological age. o There are two types of normal variant of short stature. Constituional delay in growth Familial genetic short stature o In constitutional delay the bone age is less than chronological age, while in familial short stature bone age is normal for the chronological age. o So, the most likely diagnois of this child is constitutional delay in growth.